The following features are true for tetralogy of Fallot, except -
1. Ventricular septal defect
2. Right ventricular hypertrophy
3. Atrial septal defect
4. Pulmonary stenosis

Correct answer: 3. Atrial septal defect

Explanation: Ans. is 'c' i.e., ASD Tetralogy of Fallot o The classical example of cyanotic patients with pulmonic stenosis is tetralogy of fallot. o TOF is the commonest congenital heart disease. o Constituents of TOF Ventricular septal defect Overriding or dextroposed aorta Pulmonic stenosis Right ventricular hypertrophy.